One of the potent microsomal enzyme inducer drug is:
1. Captopril
2. Erythromycin
3. Rifampicin
4. Cimetidine

Correct answer: 3. Rifampicin